A  20-year-old  patient  weighing  60  kg  has  to  be  prescribed  an  antiepileptic  drug  (available
as 200 and 400 mg tablets) for generalized tonic-clonic seizures. The pharmacokinetic parameters
and  therapeutic  plasma  concentration  of  the  selected  drug  are:
Target  steady-state  plasma  concentration  (Cpss) –  6  mg/L
Oral  bioavailability  (F) –  70%
Volume  of  distribution  (V) –  1.4  L/kg
Clearance  (CL) –  80  ml/hr/kg
Plasma  half  life  (t½) –  15  hours
What should be the loading dose and the daily maintenance dose of the drug for this patient?
1. 720 and 984 mg respectively
2. 984 and 720 mg respectively
3. 450 and 720 mg respectively
4. 884 and 984 mg respectively

Correct answer: 1. 720 and 984 mg respectively

Explanation: The total volume of distribution and total body clearance for this patients has to be calculated first.